Bilateral spider leg appearance of kidney in IVP is seen in -
1. Hydronephrosis
2. Polycystic kidney
3. Medullary sponge kidney
4. Renal cell carcinoma

Correct answer: 2. Polycystic kidney

Explanation: Ans. is 'b' i.e., Polycystic Kidney